Thymic hyperplasia is seen in -
1. Thymoma
2. Thymic lymphoma
3. Myasthenia gravis
4. Scleroderma

Correct answer: 3. Myasthenia gravis

Explanation: Ans. is 'c' i.e., Mysthenia gravis Thymic hyperplasiao The term thymic hyperplasia usually applies to the appearance of B-cell germinal centers within the thymus, a finding that is referred to as thymic follicular hyperplasia.o Such B-cell follicles are present in only small numbers in the normal thymus.o It can occur in a number of chronic inflammatory and immunologic states, but it is most frequently encountered in myasthenia gravis (65% to 75% of cases).o Similar thymic changes are sometimes encountered in Graves disease, systemic lupus erythematosus, scleroderma, rheumatoid arthritis, and other autoimmune disorders.